A 27 years old patient with 20 weeks sized uterus presented with vesicular mole. Treatment is:
1. Induction of labor
2. Methotrexate
3. Hysterotomy
4. Suction evacuation

Correct answer: 4. Suction evacuation

Explanation: Suction evacuation is the treatment of choice for hydatidiform mole, regardless of uterine size. Follow this, with a gentle curettage. b-HCG estimation weekly till negative: Values come to negative bya) 9 Weeks in a Complete moleb) 7 Weeks in an incomplete mole